Which of the following drugs can produce a dramatic improvement in patients with resistant Type II lepra reaction?
1. Thalidomide
2. Steroids
3. Dapsone
4. Clofazimine

Correct answer: 1. Thalidomide

Explanation: Steroids are the drug of choice for both type 1 as well as type 2 lepra reaction. Thalidomide is used in steroid-resistant type 2 lepra reaction.